Which vehicular injury is not caused by direct contact of vehicle -
1. Primary impact
2. Secondary impact
3. Secondary injury
4. Rolling over

Correct answer: 3. Secondary injury

Explanation: the synopsis of forensic medicine & toxicology; Dr k.s narayan reddy; 28th edition ;pg.no. 149 Direct contact of the vehicle produces primary impact injury ,secondary impact injury is also caused by the impact of the vehicle but the secondary injury is caused by the victim's striking object ,such as the ground.